True regarding type-III respiratory failure are all except:
1. Also known as perioperative respiratory failure
2. There is impaired CNS drive to breathe
3. Occurs as a result of atelectasis
4. Can be managed conservatively

Correct answer: 2. There is impaired CNS drive to breathe

Explanation: Ans. B: There is impaired CNS drive to breathe Type III respiratory failure occurs commonly in perioperative period as a result of lung atelectasis. After general anaesthesia, decrease in functional residual capacity leads to collapse of dependent lung units. Such atelectasis can be managed by frequent changes in position, chest physiotherapy, upright positioning and aggressive control of incisional pain.